Which of the following is the most significant risk factor for postoperative nausea and vomiting
1. Female gender
2. Smoking
3. Age over 60 years
4. Surgery on the breast

Correct answer: 1. Female gender

Explanation: Postoperative nausea and vomiting is most common in women, young people, and patients who have received opioids during surgery. Surprisingly, perhaps the one advantage of smoking is that smokers tend to have less postoperative nausea and vomiting than nonsmokers. Similarly, the incidence of postoperative nausea and vomiting is lower in the geriatric population.